Which of the following condition result in arthritis without erosion of the bones?
1. Psoriasis
2. Rheumatoid arthritis
3. Osteoarthritis
4. SLE

Correct answer: 4. SLE

Explanation: Among the options given, SLE is associated with non erosive type arthritis most commonly affecting the hands and wrists. Subluxation or dislocation without erosive disease is the hallmark of SLE.